Which is a characteristic finding in AGN?
1. Red blood cell cast
2. Hematuria
3. Proteinuria
4. Epithelial Cells

Correct answer: 1. Red blood cell cast

Explanation: * RBC casts indicate glomerular bleeding and are seen with acute glomerulonephritis. * Hematuria can be seen with even kidney stones or bladder cancer and hence is not a characteristic finding of AGN.